Which of the following Complication is possible following excision of the Head of the Radius in children?
1. Ulnar Nerve
2. Inferior Radio Ulnar joint instability
3. Posterior dislocation of the elbow
4. Carpal tunnel syndrome

Correct answer: 2. Inferior Radio Ulnar joint instability

Explanation: Inferior Radio-Ulnar joint instability Excision of the head of the radius in children results in proximal migration of the radius resulting in subluxation of the inferior radio ulnar joint and instability. ref : maheswari 9th ed